Normal nasofrontal angle is
1. 105-110 degrees
2. 110-115 degrees
3. 115-130 degrees
4. 1390-190 degrees

Correct answer: 3. 115-130 degrees

Explanation: Nasofrontal angle is 115-130 degreesNasolabial angle is 95-105 degrees for females, 90-95 degrees for males